Mondors disease involves which of the following
1. Axilla
2. Neck
3. Thymus
4. Breast

Correct answer: 4. Breast

Explanation: Mondor's disease Thrombophlebitis of the superficial veins of the anterior chest wall and breast although it has also been seen in the arm. Frequently involved veins are a lateral thoracic vein, thoracoepigastric vein and superficial epigastric veins, Aeology is unknown o Also known as 'string phlebis\ it presents as a tender cord-like structure. The women may present with acute pain in the lateral aspect of breast or the anterior chest wall. A tender cordlike superficial thrombosed vein is formed and when the skin over the breast is stretched by raising the arm, a narrow r shallow subcutaneous groove alongside the cord becomes apparent, Rarely it may be bilateral. Management It's a benign self-limited disorder. The differential diagnosis is lymphatic permeation from an occult carcinoma of the breast. When the diagnosis is uncertain or a mass is present near the cord, a biopsy may be done. Treatment An inflammatory drugs and warm compresses Restricted arm movements as well as brassiere support of breast o It usually resolves within 4 to 6 weeks. When symptoms persist or are refractory to treatment, the involved vein the segment may be excised ref - srb's manual of surgery 5e p525